Which of the following is the arterial supply to anterior cruciate ligament
1. Fibular head artery
2. Descending genicular artery
3. Superior genicular artery
4. Middle genicular artery

Correct answer: 4. Middle genicular artery

Explanation: Middle genicular artery -Middle genicular artery is a branch of popliteal artery and supplies the cruciate ligaments & the synovial membrane of knee joint. -lt reaches the interior of knee by piercing the oblique popliteal ligament of the knee. -Fibular head artery (A) is the circumflex fibular branch given by the posterior tibial artery, which contributes towards the anastomosis around the knee joint. -Descending genicular artery (B) is a branch of femoral artery and also contributes to the knee joint anastomosis. -Superior genicular artery (C) is a branch of popliteal artery and is an important branch in the anastomosis around the knee joint.